Testes completely descend in the scrotum by the:
1. End of 7th month
2. End of 8th month
3. End of 9th month
4. After birth

Correct answer: 3. End of 9th month

Explanation: Ans. End of 9th month